Who first introduced solid media:
1. Louis Pasteur
2. Robert Koch
3. Hensen
4. Ogston

Correct answer: 2. Robert Koch